Which of the following statemnets is FALSE about the drug treatment with Memantine?
1. It is neuroprotective
2. It has a long half life
3. It is used in treatment of moderate dementia
4. It is a NMDA receptor agonist

Correct answer: 4. It is a NMDA receptor agonist

Explanation: Memamntine is a NMDA (N-methyl D-aspartate) antagonist (not agonist) used in the treatment of Alzheimer's disease. Memantine 5-10mg per day is used in the treatment of moderate dementia. It is theoretically neuroprotective and has a half life of 100 hours. It also has 5HT3 (serotonin receptor) antogonistic properties as well. Ref: A Short Text Book of Psychiatry by Niraj Ahuja, 2006, Page 27